Losartan is similar to enalapril in all of the following features except:
1. Anti-hypertensive efficacy
2. Potential to reverse left ventricular hypertrophy
3. Lack of effect on carbohydrate tolerance
4. Potential to induce cough in susceptible individuals

Correct answer: 4. Potential to induce cough in susceptible individuals

Explanation: Losartan belongs to the class of ARB'sEnalapril belongs to the class of ACEI ARB's differs from ACE inhibitors in: They do not interfere with degradation of bradykinin: no rise in level of bradykinin, substance P occurs. ARB does not produce cough. With Losartan no significant effect on plasma lipid profile, carbohydrate tolerance or insulin sensitivity has been noted. A mild probenecid- like uricosuric action is produced.